A patient was started on antihypertensive medications; developed renal failure, the drug offended is -
1. Beta-blocker
2. Alpha-blocker
3. Calcium channel blocker
4. ACE inhibitor

Correct answer: 4. ACE inhibitor

Explanation: Ans. is 'd' i.e., ACE inhibitors orT ACE inhibitors and angiotensin receptor antagonists can cause acute renal failure in patients with bilateral renal artery stenosis, stenosis of the artery to a single remaining kidney, heart failure, or volume depletion owing to diarrhea or diuretics.